The best approach to prevent congenital anomalies in infants of diabetic mothers is to?
1. Discontinue insulin and begin glyburide
2. Switch from an oral hypoglycemic agent to insulin until 36-week of gestation
3. Provide continuous insulin infusion during labor and delivery
4. Maintain periconceptional tight control of maternal blood glucose levels

Correct answer: 4. Maintain periconceptional tight control of maternal blood glucose levels